Nerve supply of circumvallate papillae is:
1. Hypoglossal nerve
2. Glossopharyngeal nerve
3. Lingual nerve
4. Chorda tympani

Correct answer: 2. Glossopharyngeal nerve

Explanation: Circumvallate papilla is one of the large papillae near the base on the dorsal aspect of the tongue arranged in a criteria used at term. The vast majority of fetuses with V-shape. The taste buds are located in the epithelium of the trench surrounding the papilla. Motor nerve supply of tongue: All the intrinsic and extrinsic muscles of the tongue are supplied by the hypoglossal nerve except the palatoglossus muscle which is supplied by the cranial part of the accessory nerve through the pharyngeal plexus. Glossopharyngeal nerve is both general sensory and special sensory to the posterior 1/3rd of the tongue. Posterior most part of the tongue is supplied by the internal laryngeal nerve which is a branch of vagus nerve.